Exchange of trace evidence occurs, When a person comes in contact with other person . This principle is called?
1. Locard's principle
2. Quetelet's rule
3. Petty's principle
4. None of the above

Correct answer: 1. Locard's principle

Explanation: Locard's principle of Exchange 

It States that " When two objects come into contact with each other, there is always transfer of some material between them".
This is helpful in crime investigations, especially in sexual offences.